Scrum pox is seen among ………………… players -
1. Football
2. Hockey
3. Rugby
4. Chess

Correct answer: 3. Rugby